Restriction fragment length polymorphism uses the technique of:
1. Southern blotting
2. Northern blotting
3. Western blotting
4. Eastern blotting

Correct answer: 1. Southern blotting

Explanation: Ans. Southern blotting